Most rapid way of lowering potassium is
1. Albuterol
2. Insulin drip
3. Calcium gluconate
4. Sodium bicarbonate

Correct answer: 2. Insulin drip

Explanation: Insulin. Start INITIAL INSULIN INFUSION RATE (100 units Regular Insulin/100 mL 0.9% Sodium Chloride): and GlucoseBloodmg/dL) Initial Insulin Infusion Rate. # 75 - 150 = 1 unit IV push then 1 unit per hour.pottasium can be give in a rapid way through insulin drip Ref Davidson 23rd edition pg 234